Commonest manifestation of endometriosis is :
1. Infertility
2. Pain
3. Bleeding
4. Leukorrhoea

Correct answer: 2. Pain

Explanation: Pain